The mother of a one and a half year old child gives history of a white reflex from one eye for the past 1 month. On computed tomography scan of the orbit there is calcification seen within the globe. The most likely diagnosis is:
1. Congenital cataract
2. Retinoblastoma
3. Endophtalmitis
4. Coats disease

Correct answer: 2. Retinoblastoma

Explanation: Ans. (b) RetinoblastomaRef: Parson's 22/e, p. 400, Kanski 7/e, p. 514Presence of leukocoria (white pupillary reflex) and calcification within the globe in a one and a half year old child is almost diagnostic of retinoblastoma.